Patient with 20 weeks size uterus & vesicular mole. Treatment is:
1. Induction of labour
2. Methotrexate
3. Hysterotomy
4. Suction evacuation

Correct answer: 4. Suction evacuation

Explanation: Ans. is 'd' i.e., Suction evacuation * Vacuum aspiration: Suction evacuation is the treatment of choice for hydatidiform mole, regardless of uterine size. After most of the molar tissue has been removed by aspiration, oxytocin is given. After the myometrium has contracted, thorough but gentle curettage with a large sharp curette usually is performed.* Intraoperative ultrasonographic examination may help document that the uterine cavity has been emptied.* Induction of labour is contraindicated.